Which of the following is used in resuscitation
1. Epinephrine
2. Oxygen
3. Magnesium
4. All of the above

Correct answer: 4. All of the above